The average "Leeway space" available in each half of the
maxilla is approximately
1. 0.9 mm
2. 2.9 mm
3. 4.0 mm
4. 6.9 mm

Correct answer: 1. 0.9 mm